Complications of acute sinusitis -a) Orbital cellulitisb) Pott's puffy tumour c) Conjunctival chemosis d) Subdural abscess
1. abc
2. bcd
3. abd
4. All of the above

Correct answer: 4. All of the above

Explanation: Complications of Sinusitis—Acute Sinusitis